What is thelUCD of choice in women with menorrhagia?
1. Lippe's loop
2. Copper-T 200
3. Copper-T 3 8 OA
4. Progesterone containing IUCD

Correct answer: 4. Progesterone containing IUCD

Explanation: Ans. is 'd' i.e., Progesterone containing IUCD